Nutmeg liver seen in ?
1. Alcoholic liver disease
2. Chronic venous congestion
3. Hepatoma
4. Secondary carcinoma deposits in liver

Correct answer: 2. Chronic venous congestion

Explanation: Ans. is 'b' i.e., Chronic venous congestion The combination of hypoperfusion and retrograde congestion (Chronic passive congestion) acts synergistically to generate centrilobular hemorrhagic necrosis.The liver takes on a variegated mottled appearance reflecting hemorrhage and necrosis in the centrilobular regions, know as nutmeg liver.